Which of the following biomarkers is released from ventricular myocytes:
1. Brain Natriuretic Peptide (BNP)
2. Atrial Natriuretic Peptide (ANP)
3. Endothelin 1
4. Endothelin 2

Correct answer: 1. Brain Natriuretic Peptide (BNP)

Explanation: Answer is a (BNP) Brain natriuretic peptide (BNP) is a neurohormone primarily released from ventricular myocytes in response to myocytes stress. (Misnomer: Named Brain-NP because it was originally, lbund in extracts of porcine brain) Atrial Natriuretic Peptide (ANP) Released from atrial myocytes in response to atrial stretch, pressure or fluid overload Brain Natriuretic Peptide (BNP) Released from ventricular myocytes in response to myocyte stress from increased ventricular pressure or volume overload (Misnomer: Named Brain-NP because it was originally found in extracts of porcine brain) Endothelins Released from endothelial cells